Dysphoria is mediated by which opioid receptor:
1. Mu
2. Kappa
3. Delta
4. None

Correct answer: 2. Kappa